An 66--year--old AIDS patient with pneumonia has a bronchoalveolar lavage that demonstrates small, "hat-shaped" structures in alveoli that are about the size of an erythrocyte and stain with silver stains. The microorganism involved is most likely which of the following?
1. Blastomyces dermatitidis
2. Mycobacterium a vium
3. Mycobacterium tuberculosis
4. Pneumocystis carinii

Correct answer: 4. Pneumocystis carinii

Explanation: Pneumocystis carinii